Agents recommended in treatment  of aortic dissection are all except
1. Beta blockers
2. Labetolol
3. Sodium nitoprusside
4. Diazoxide

Correct answer: 4. Diazoxide

Explanation: Diazoxide is vasodilator ,which can aggravate dissection, so containdicated in aortic dissection.